A patients of iron deficiency anaemia have been put on iron therapy. What should be the rate of rising in haemoglobin level of blood so that response is considered adequate
1. 0.05-0.1g/dl per week
2. O.1-0.2g/dl per week
3. O.5-1.0g/dl per week
4. More than 1.0g/dl per week

Correct answer: 3. O.5-1.0g/dl per week

Explanation: Medicinal iron. A rise in Hb level by 0.5-1 g/dl per week is an optimum response to iron therapy. Treatment should be continued till normal Hb level is attained (generally takes 1-3 months depending on the severity) and 2-4 months thereafter to replenish the stores because after correction of anaemia, iron absorption is slow.